The meal provided in mid-day meals program should supply every day:
1. One third of the energy requirement and half of the protein requirement
2. Half of the energy requirement and one third of the protein requirement
3. Half of the energy requirement and half of the protein requirement
4. One third of the energy requirement and one third of the protein requirement

Correct answer: 1. One third of the energy requirement and half of the protein requirement

Explanation: Ans. A. One third of the energy requirement and half of the protein requirement* Mid-day meal scheme comes under Department of Education under Ministry of Human Resource Development (HRD).* Benefits up to 8th standard students.* Mid-day meals supply one-third of the energy requirement and half of the protein requirement.